In a normal pregnancy, due to physiological changes, which among the following can be seen?
1. Increase in blood volume by 20 to 40%
2. Short diastolic murmurs
3. Increase hematocrit
4. Increase vital capacity

Correct answer: 1. Increase in blood volume by 20 to 40%

Explanation: Physiological Changes during Pregnancy:Uterus undergoes hypertrophy and hyperplasia measuring about 35 cm in length and 900 to 1000 gm in weight.Ovary shows corpus luteum with maximum growth at 8 weeks. At 12 weeks colloid degenerations occur and later calcification at term. Breast increase in size with stromal hypertrophy and proliferation of ducts. Secretion can be squeezed out of the breast as early as 12 weeks.Weight Gain during Pregnancy-Average 11 kg-1kg in first and 5 kg each in 2nd and 3rd trimester. (a) Reproductive weight gain 6kgFoetus 3300 gmPlacenta-600 gmLiquor-800 gm Uterus-900 gm Breast-400 gm(b) Net maternal weight gain: 6 kgIncrease in blood volume: 1.3 kgAccumulations of fat and protein: 3.5 kgPrincipal Blood Changes during Pregnancy Blood volume + 30 to 40 %Plasma volume + 40 to 50%Red cell volume + 18 to 20%Hematocrit: DiminishedA: G ratio 1: 1Fibrinogen (mg%) +50 %Cardiac output +30 % (Peak at 32 weeks) Uterine blood flow increased to 750 ml near-term Vital capacity unaltered